To start with all fibroids are :
1. Interstitial
2. Submucous
3. Subserous
4. Ovarian

Correct answer: 1. Interstitial

Explanation: Ans. is a i.e. Interstitial Fibroids are the commonest benign solid tumours in females.deg It is the most common pelvic tumour.deg Most common age group affected = 35 - 45 yearsdeg Extra Edge : Fibroid with maximum symptoms - submucous fibroid. Wandering or parasitic fibroid-subserous fibroid. Lantern on dome of St. Paul - Cervical fibroid. Pseudo cervical fibroid- fibroid polyp. Most common fibroid to undergo calcerous degeneration - subserous fibroid. Fibroids are most commonly seen in Nulliparous female.deg It is an Estrogen dependent tumour. deg Fibroid is monoclonal in origin. Multiple chromosomal abnormalities are detected in 50% of all fibroids most common being translocation between long arms of Chromosomes 12 to 14, followed by deletion of long arm of chromosome Y.